All cause brain lesions except -
1. Giardiasis
2. Tuberculosis
3. Cysticercosis
4. Bacteriodes

Correct answer: 1. Giardiasis